Antibiotic which is effective as a single dose therapy for trachoma is :
1. Doxycycline
2. Clarithromycin
3. Azithromycin
4. Erythromycin

Correct answer: 3. Azithromycin